True about early gastric cancer is
1. Limited to serosa
2. Chemotherapy
3. Lymph node metastasis present
4. Limited to mucosa and submucosa

Correct answer: 4. Limited to mucosa and submucosa

Explanation: Based on histological features, WHO classified gastric tumors into : Early gastric carcinoma is defined as a cancer limited to the mucosa and submucosa with or wthout perigastric lymph node metastasis Advanced gastric carcinoma: extends below the submucosa into the muscular wall. GENERAL AND SYSTEMIC PATHOLOGY RAMDAS NAYAK FIRST EDITION PGNO.385 IMAGE REF: GENERAL AND SYSTEMIC PATHOLOGY RAMDAS NAYAK SECOND EDITION FIG. 18.8 PAGE NO: 489